Which of the following is the drug of choice for treatment of corneal ulcers caused by filamentous fungi?
1. Itraconazole
2. Natamycin
3. Nystatin
4. Fluconazole

Correct answer: 2. Natamycin

Explanation: B i.e. Natamycin